Not true about right kidney is:
1. Right kidney is preferred over the left for transplantation
2. It is lower than the left kidney
3. Right renal vein is shorter than the left
4. Right kidney is related to the duodenum

Correct answer: 1. Right kidney is preferred over the left for transplantation

Explanation: Ans. (a) Right kidney is preferred over the left for transplantationLeft Kidney is preferred over the right kidney - Reasons:* Left kidney is chosen for its long renal vein which makes surgery easier.* Right kidney is related with duodenum.* Right kidney is lower than left kidney.